Time sector scanning of neonates is preferred for the following reason ?
1. Open fontanelles
2. Inexpensive
3. Children more co-operative
4. Better resolution

Correct answer: 1. Open fontanelles

Explanation: Time sector scanning of neonates is preferred because of the practical reason the open fontanelle serve as acoustic windows. Best results are obtained with a high-frequency phased array transducer (5-8 MHz) with a small footprint probe. Additional information : Neurosonography starts with gray-scale imaging performed the anterior fontanelle in the coronal and sagittal planes. Generally, six to eight coronal images are obtained, beginning at the anterior frontal lobes and extending to the occipital lobes posterior to the lateral ventricle trigones. The transducer is then rotated 90deg and five sagittal images are obtained, including a midline and two parasagittal views of right and left hemispheres encompassing the peripheral cortex . Color Doppler images for arterial and venous structures may be obtained for the screening of vascular structures. Documentation of Doppler imaging of the circle of Willis and the region of vein of Galen is an essential part of the assessment